Brain perfusion means
1. Mean arterial pressure - Intracranial pressure
2. Mean arterial pressure + Intracranial pressure
3. Mean arterial pressure - CVP
4. Mean arterial pressure + CVP

Correct answer: 1. Mean arterial pressure - Intracranial pressure

Explanation: MAP is the average blood pressure during one cardiac cycle and can be directly measured through invasive hemodynamic monitoring or can be calculated as the systolic blood pressure, plus two times the diastolic blood pressure, divided by three. The normal range of MAP is 70 to 100 mm Hg. Ref: guyton and hall textbook of medical physiology 12 edition page number:813,814,815